Pre-auricular sulcus is seen in:
1. Ear
2. Skull
3. Pelvis
4. Femur

Correct answer: 3. Pelvis

Explanation: Ans. C i.e. Pelvis